A 42-year-old woman with metastatic breast cancer is known to have tumors in the intervertebral foramina between the fourth and fifth cervical vertebrae and between the fourth and fifth thoracic vertebrae. Which of the following spinal nerves may be damaged?,
1. Fourth cervical and fourth thoracic nerves
2. Fifth cervical and fifth thoracic nerves
3. Fourth cervical and fifth thoracic nerves
4. Fifth cervical and fourth thoracic nerves

Correct answer: 4. Fifth cervical and fourth thoracic nerves

Explanation: All Cervical spinal nerves exit through the intervertebral foramina above the corresponding vertebrae, except the eighth cervical nerves, which run inferior to the seventh cervical vertebra. All other spinal nerves exit the intervertebral foramina below the corresponding vertebrae. Therefore, the fifth cervical nerve passes between the fourth and fifth cervical vertebrae, and the fourth thoracic nerve runs between the fourth and fifth thoracic vertebrae.